A 16 years old female patient has abdominal lump that is movable and painless, upon exploratory laparotomy a cystic lump is found arising from mesentery, diagnosis is -
1. Enterocele
2. Mesenteric cyst
3. Choledochal cyst
4. Pancreatic pseudocvst

Correct answer: 2. Mesenteric cyst

Explanation: Ans. is 'b' i.e., Mesenteric cyst Painless, mobile lump arising from mesentrv is mesentic cvstMesentric cyst present aso A painless abdominal swellingThe swelling moves freely in a plane at right angles to the attachment of the mesentrvo Recurrent attacks of abdominal pain with or without vomiting due to obstructive symptoms o Acute abdominal pain due to : -Torsion of the mesentry> containing cyst.Rupture of cystHeamorrhage into the cystInfection of the cysto Enucleation is treatment of choice